Disease seen all over the world
1. Endemic
2. Epidemic
3. Pandemic
4. Sporadic

Correct answer: 3. Pandemic

Explanation: • ENDEMIC: constant presence of a disease or an infectious agent within a given geographical area or a population group.
• EPIDEMIC: sudden occurrence and rise of a particular health related behaviour/event which is in excess of “expected occurrence”
• SPORADIC: Scattered cases, which occur irregularly, haphazardly from time to time. These cases are few and separated widely in space and time that they show little or no connection with each other, nor a recognizable common source of infection.
• PANDEMIC: An epidemic usually affecting a large proportion of population, occurring over a wide geographic area such as a section of nation, the entire nation, a continent or the world.